Which of the following displacement is not seen in Colle's fracture?
1. Radial tilt
2. Volar tilt
3. Dorsal displacement
4. Supination

Correct answer: 2. Volar tilt

Explanation: Ans. b. Volar tilt